Which one of the following is common site of intestinal tuberculosis
1. Stomach
2. Jejunum
3. Ileum
4. Colon

Correct answer: 3. Ileum

Explanation: Although why portion of the gastrointestinal tract may be affected the terminal ileum and the cecum are the sites most commonly involved Refer Harrison 18th Red Robbins orT 372